The pattern of vibration of magnetostrictive type of ultrasonic scaler is
1. Elliptical
2. Linear
3. Back and forth
4. None

Correct answer: 1. Elliptical